Osteogenic sarcoma arises from
1. Epiphyses
2. Metaphysis
3. Growth plate
4. Epiphyseal cortex

Correct answer: 2. Metaphysis

Explanation: The tumor most commonly begins in the Metaphysis The most common site of involvement is Metaphysis of long bone around knee ***lower end of femur ***upper end of tibia Refer Maheshwari 4th/e p. 232